Nicotine deaddiction uses all except
1. Nicotine Patch
2. Nicotine Spray
3. Nicotine Inhaler
4. Nicotine subcutaneous Injection

Correct answer: 4. Nicotine subcutaneous Injection

Explanation: (D) Nicotine subcutaneous Injection # CLINICAL PRACTICE GUIDELINES> Physician actions: Ask: Systematically identify all tobacco users at every visit Advise: Strongly urge all smokers to quit Identify smokers willing to quit Assist the patient in quitting Arrange follow-up contact> Pharmacologic interventions -- First-line therapies: Nicotine gum (1.5) Nicotine 24-h patch: 21-mg patch for 4 weeks, 14-mg patch for 2 weeks & 7-mg patch for 2 weeks (1.9) Nicotine nasal inhaler: one spray to each nostril 1-2 times/h for 3-6 months (2.7) Nicotine oral inhaler: 6-16 puffs per day for up to 6 months (2.5) Bupropion: 150 mg/d PO for 3 days followed by 150 mg bid for 7-12 weeks (2.1)> Pharmacologic interventions -- Second-line therapies: Clonidine: Initial dose 0.1 mg bid PO, or 0.1-mg transdermal patch, increasing to 0.15-0.75 mg/d PO or 0.2-mg patch for 3-10 weeks (2.1) Nortriptyline: Initial dose 25 mg/d PO, increasing to 75-100 mg/d for 12 weeks (3.2)> Other interventions: Physician or other medical personnel counseling, 10 minutes Intensive smoking cessation program Clinic-based smoking status identification system Counseling by nonclinicians and social support by family and friends Telephone counseling